The most appropriate circuit for ventilating a spontaneously breathing infant during anaesthesia is –
1. Jackson Rees modification of Ayres T piece
2. Mapleson A or Magill's circuit
3. Mapleson C or Waters to and frocanister
4. Bains circuit

Correct answer: 1. Jackson Rees modification of Ayres T piece

Explanation: The Ayre's T-piece with Jakson-Rees modification remains the mainstay of pediatric anaesthesia.